Regarding cutaneous amoebiasis which is not true -
1. It is a spreading necrotizing inflammation of the skin and cutaneous tissue
2. Rapid improvement with anti-amoebic treatment occurs
3. Can occur in the perianal region
4. The infection reaches the skin through the blood stream

Correct answer: 4. The infection reaches the skin through the blood stream

Explanation: Option 1, 2, 3, 4 1. Cutaneous amoebiasis or Amoebiasis cutis- it is usually seen over the region adjoining a visceral lesion e.g. area of drainage of liver abscess or colostomy wound or from the rectum perianally. It may also be seen following anal intercourse. 2. Perianal skin ulcers: by direct extension of ulcers to perianal skin. 3. Amoeboma (Amoebic granuloma): a diffuse pseudotumor like mass of granulomatous tissue found in rectosigmoid region and sometimes growing sufficiently large to block the lumen 4.Rapid improvement with anti-amoebic treatment occurs. D.O.C:- metronidazole